Side effect of Amphotericin B is?
1. Hypocalcemia
2. Hypokalemia
3. Hyponatremia
4. None of these

Correct answer: 2. Hypokalemia

Explanation: Ans. (b) HypokalemiaRef: Goodman and Gillman llthed 799